Diagnosis of thalassaemia major is based on the detection of which of following hemoglobins?
1. HbA
2. HbA2
3. HbF
4. HbS

Correct answer: 3. HbF

Explanation: The major red cell hemoglobin in thalassemia major is HbF (a2 g2), which is markedly elevated. Thalassemia minor/ trait is associated with increased levels of HbA2( a2 d2 ) HbA (a2 b2) accounts 95% to 98% of the total hemoglobin in normal adults. HbS is seen in sickle cell anemia. These hemoglobins can be detected by Hb high performance liquid chromatography (HPLC)/capillary electrophoresis.